Which of the following is an example of conjugated protein?
1. Albumin
2. Glutelin
3. Myoglobin
4. Globulin

Correct answer: 3. Myoglobin

Explanation: Simple proteins are those that are made up of only amino acids. Conjugated proteins are combinations of protein with a non-protein part, called prosthetic group Albumin is a simple protein. It may transport metal ions. But there is no prosthetic group -> option a is excluded. Gluten, a protein composite of:- Prolamin (in wheat named gliadin) Glutelin(in wheat named glutenin) This is again a simple protein -> option b is excluded. Myoglobin contains heme prosthetic group. So, it is obviously a conjugated protein -> option c is the answer.